Most common cause of mobius syndrome is use of which of the following drug in pregnancy?
1. Misoprostol
2. Thalidomide
3. Methotrexate
4. Dinoprostone

Correct answer: 1. Misoprostol

Explanation: An extremely rare congenital neurological disorder which is characterized by facial paralysis and the inability to move the eyes from side to side. Most people with Mobius syndrome are born with complete facial paralysis and cannot close their eyes or form facial expressions. Ref: KD Tripathi 8th ed